A 3-year-old child has presented with abdominal lump and aniridia shown below. All genes are responsible for development of this condition except?
1. WT1
2. P53
3. Beta-catenin
4. K-ras

Correct answer: 4. K-ras

Explanation: Ans. (d) K-ras gene.GeneWilms tumor characteristicFrequencyWT1Inselected-20%P-cateninUnselected-15% Tumors with WT1 mutations (-20% of total)-50%p53Anaplastic histology (-5% of total)-80% Image Source: